Phenytoin causes all except -
1. Lymphadenopathy
2. Ataxia
3. Hypercalcemia
4. Hirsutism

Correct answer: 3. Hypercalcemia

Explanation: Ans. is 'c' i.e., Hypercalcemia o Phenytoin interferes with calcium metabolism by desensitizing target tissue to vit. D, this causes hypocalcemia (not hypercalcemia).Adverse effect of phenytoin|||At therapeutic levelAt high plasma level(a) Hypertrophy of gum -commonest* in 20%(a) Cerebellar and vestibular manifestation(b) Hirsutism, coarsening of facial features*o Ataxia*o Vertigoo Diplopiao Nystagmus(c) Hypocalcemia(d) Hypersensitivity reactions, these include* -o Rasheso DLEo Lymphadenopathyo Neutropenia(b) Epigastric pain, vomiting, nausea(c) I.V. Injection causes local vascular injury(d) Fall in B.P.* and cardiac arrythmias(e) Hyperglycemia*- it inhibits release of insulin(e) Drowsiness & mental confusions(f) Hydantoin syndrome*- (fetal) (g) Megaloblastic anemia*